In addison's crisis the following is seen -
1. Hypernatremia
2. Hyperkalemia
3. Hyperglycemia
4. Hypertension

Correct answer: 2. Hyperkalemia

Explanation: Features of acute adrenal crisis includes circulatory shock with severe hypotension,hyponatraemia,hyperkalemia,hypoglcemia and hypercalcaemia. Refer page no 777 of Davidson's principles and practice of medicine,22 nd edition.